Disorder associated with thyrotoxicosis but not associated with hyperthyroidism is:
1. Graves disease
2. Hyperfunctioning ("toxic") multinodular goiter
3. Iodine-induced hyperthyroidism
4. De Quervain thyroiditis

Correct answer: 4. De Quervain thyroiditis

Explanation: Thyrotoxicosis is a hypermetabolic state caused by elevated circulating levels of free T3 and T4 . most commonly caused by hyperfunctioning of thyroid gland, therefore it is often referred as hyperthyroidism. However, in certain conditions the oversupply is related to either excessive release of preformed thyroid hormone (e.g., in thyroiditis) or to an extrathyroidal source, rather than hyperfunctioning of gland. Disorder Associated with Thyrotoxicosis: Associated with Hyperthyroidism Not associated with hyperthyroidism - Primary: Diffuse hyperplasia (Graves' disease) Hyper functioning ("toxic") multinodular goiter Hyper functioning ("toxic") adenoma Iodine - induced hyperthyroidism Neonatal thyrotoxicosis associated with maternal Grave's disease - Secondary: TSH-secreting pituitary adenoma (rare) Granulomatous (de Quervain) thyroiditis (painful) Subacute lymphocytic thyroiditis (painless) Struma ovarii (ovarian teratoma with ectopic thyroid) Facititious thyrotoxicosis (exogenous thyroxine intake)